KHN of enamel is close to:
1. Pure gold
2. Amalgam
3. Porcelain
4. Composite

Correct answer: 3. Porcelain